Both decreased bone resorption and increased bone formation are caused by:
1. Strontium ranelate
2. Ibandronate
3. Teriparatide
4. Calcitonin

Correct answer: 1. Strontium ranelate